Most common complication of celiac plexus block:
1. Pneumothorax
2. Postural hypotension
3. Retroperitoneal hemorrhage
4. Intra-arterial injection

Correct answer: 2. Postural hypotension

Explanation: B i.e. Postural Hypotenson